To obtain better information of a cyst eroding the surface of cortex
1. Exposure time should be reduced
2. Exposure time should be increased
3. Voltage should be increased
4. Milliamperage increased

Correct answer: 1. Exposure time should be reduced